Virus that spreads by both hematogenous and neural route is:
1. Rabies virus
2. Polio virus
3. EB virus
4. Enterovirus

Correct answer: 2. Polio virus

Explanation: Ans. B: Polio virus Once established in the intestines, poliovirus can enter the blood stream and invade the central nervous system -spreading along nerve fibres. As it multiplies, the virus destroys nerve cells (motor neurons) which activate muscles. These nerve cells cannot be regenerated and the affected muscles no longer function. The muscles of the legs are affected more often than the arm muscles. The limb becomes floppy and lifeless - a condition known as acute flaccid paralysis (AFP). More extensive paralysis, involving the trunk and muscles of the thorax and abdomen, can result in quadriplegia. In the most severe cases (bulbar polio), poliovirus attacks the motor neurons of the brain stem - reducing breathing capacity and causing difficulty in swallowing and speaking. Without respiratory support, bulbar polio can result in death.